Which phase of clinical trials is done after the drug enters the market?
1. Phase I
2. Phase II
3. Phase III
4. Phase IV

Correct answer: 4. Phase IV

Explanation: Ans. (D) Phase IV(Ref: KDT 8th/e 91)Clinical TrialOther NamePhase 0Microdosing studiesPhase IHuman pharmacology and safetyPhase IITherapeutic exploratoryPhase IIITherapeutic confirmatoryPhase IVPost marketing surveillance